A 40 year old lady with temporal field defects and glactorrhoea is most likely to have-
1. Pituitary macroadenoma
2. Craniopharyngioma
3. Lactational failure
4. Pregnancy

Correct answer: 1. Pituitary macroadenoma

Explanation: adenoma of the pituitary gland causing increased secretion of prolactin resulting in galactorrhea and causes CNS compression causing temporal field defects (Harrison 17 pg 2206)